Shrinking lung is a feature of -
1. Rheumatoid arthritis
2. Systemic lupus erythematosus
3. Scleroderma
4. Sarcoidosis

Correct answer: 2. Systemic lupus erythematosus